Surgery for periductal mastitis
1. Hadfield's operation
2. Patey's mastectomy
3. Modified radical mastectomy
4. None of the above

Correct answer: 1. Hadfield's operation

Explanation: Periductal mastitis/duct ectasia is adilatation of breast ducts associated with ductal inflammation.there is dilatation in one or more ducts with collection of brown or green secretion which may discharge.Fibrosis may devolop eventually leading to retraction of nipple. Treatment: - cessation of smoking - antibiotics -Surgery: excision of all of major ducts -Hadfields operation. Bailey and Love'sSho practice of surgery.Edition 23.Pg no:757